A person met with knife injury to face & resultant damage to facial nerve. It leads to impaired decreased secretion rom:
1. Parotid gland
2. Sublingual gland
3. Lacrimal gland
4. None

Correct answer: 4. None